True pelvis refers to :
1. Upper part of pelvis
2. Lower part of pelvis
3. Either of these
4. Neither

Correct answer: 2. Lower part of pelvis

Explanation: Lower part of pelvis